Causative microorganism of chromoblastomycosis is
1. Cladosporium
2. Blastomyces
3. Sporothrix
4. Histoplasma capsulatum

Correct answer: 1. Cladosporium

Explanation: Chromoblastomycosis or verrucous dermatitis is caused by cladophialophora, phialophora, exophiala, F.pedrosoi, F.compacta. Histoplasma causes histoplasmosis. Sporothrix causes sporotrichosis. Blastomyces causes blastomycosis. Ref: Textbook of Microbiology, Ananthanarayan and Paniker; 9th edition .